Unconjugated hyperbilirubinemia is seen in ?
1. Rotor syndrome
2. Dubin-Johnson syndrome
3. Gilbert syndrome
4. Bile duct obstruction

Correct answer: 3. Gilbert syndrome

Explanation: Ans. is 'c' i.e., Gilbert syndrome